You have a patient who has a large number of cervical restorations made of resin-modified glass ionomer. The patient’s restorations and teeth were recently cleaned with an ultrasonic scaler. What should you be concerned about?
1. Tooth cement adhesion issue
2. Biofilm formation
3. Exposure of dentinal tubules
4. None of the above

Correct answer: 2. Biofilm formation

Explanation: The creation of a rough restoration surface by abrasion, erosion, air polishing, or ultrasonic instrumentation has been associated with increased biofilm formation. The restorations could be repolished or coated with a surface sealant (liquid polish) to rectify the roughening of the surfaces. The restorations should be monitored periodically because clinical studies have not clearly demonstrated that fluoride- releasing dental biomaterials significantly reduce the incidence of secondary caries, and because secondary caries most commonly occur at the gingival margin of restorations.